The following are features of pneumococcus except-
1. Bile insolubility
2. Optochin sensitivity
3. Gram positive
4. Encapsulated

Correct answer: 1. Bile insolubility

Explanation: Ans. is 'a' i.e., Bile insolubility